The type of corral ulcer seen in Vernal
keratoconjunctivitis is
1. Dendritic pattern
2. Pseudodendritic pattern
3. Geological ulcer
4. Shield ulcer

Correct answer: 4. Shield ulcer

Explanation: Superficial punctate keratitis seen in Vernal Keratoconjunctivitis is characterised by Shied ulcer.